Aim of damage control laparotomy are:a) Arrest hemorrhageb) Prevent Coagulopathyc) Control contaminationd) Provide fascial closuree) Prevent infection
1. ab
2. bc
3. abc
4. bcd

Correct answer: 3. abc